Which vitamin deficiency is responsible for neonatal seizure -
1. Pyridoxine
2. Vitamin C
3. Thiamine
4. Cobalamin

Correct answer: 1. Pyridoxine

Explanation: Ans. is 'a' i.e., Pyridoxin o Pyridoxine (Vitamin B6) dependency with seizures is an autosomal recessive condition. o It is due to GABA deficiency in the brain, which is presumbly caused by decreased activity of GAD (glutamic acid decarboxylase). o Administration of large doses of pyridoxin usually results in a dramatic improvement of both seizures and EEG abnormalities, as pyridoxin acts as a cofactor for GAD and improves its activity.